Shape of stainless steel wire determine
1. Stiffness
2. Resilience
3. Yield strength
4. Percentage elongation

Correct answer: 1. Stiffness